Involvement of lateral wall of pelvis in vaginal carcinoma, stage ----
1. I
2. II
3. III
4. IV

Correct answer: 3. III

Explanation: Vaginal cancer staging Stage 0 Vaginal intraepithelial neoplasia (VAIN) Stage I Carcinoma limited to the vaginal wall Stage II Carcinoma extending beyond the vagina, but not extending to the pelvic side walls Stage III Carcinoma extends up to the pelvic walls Stage IVA Carcinoma extending beyond the true pelvis/or involving the bladder and/or rectum, or evidence of distal metastasis Stage IVB Spread to the distal metastasis Reference: Shaw's Textbook of Gynaecology 16th edition page no 482